The following are true of kala-azar except ?
1. Persistent hypergammaglobulinemia
2. Pancytopenia
3. Cancrum oris can occur
4. Full treatment prevents post kala-azar dermal leishmaniasis

Correct answer: 4. Full treatment prevents post kala-azar dermal leishmaniasis

Explanation: Ans. is 'd' i.e., Full treatment prevents post kala azar dermal leishmaniasis Post kala-azar dermal leishmaniasis . Full treatment does not prevent post kala - azar dermal leishmaniasis (PKDL), infact it develops in about 10 percent of kala - azar patients after complete treatment of kala - azar, when the visceral infection disappears but the skin infection persists. . The clinical manifestations of PKDL may be of three types 1. Depigmented macules - Earliest lesion - Trunk and extremities (face less common) 2. Erythmatous patches - On nose, cheeks and chin, often having a butterfly distribution (butterfly erythema). - Very photosensitive 3. Yellowish pink nodules - Mostly on the face - Absence of ulceration of the nodules is a characteristic feature as distinct from oriental sore and espundia. About other options Option a & b Laboratory findings in kala azar Pancytopenia ? Anemia Leukopenia (neutropenia, marked eosinopenia, relative lymphocytosis and monocytosis) Thrombocytopenia . Hypergammaglobulinemia (chiefly involving IgG) . Hypoalbuminemia . Reversed albumin globulin ratio. Option C Cancrum oris can occur as a complication of kala - azar especially in patients with severe neutropenia.